Which of the following is most common side effect of zidovudine ?
1. Anemia
2. Peripheral neuropathy
3. Lactic acidosis
4. All

Correct answer: 1. Anemia